Impacted wisdom teeth may produce referred pain
1. Lingual nerve
2. Facial nerve
3. Branch of the auriculo temporal nerve
4. None of the above

Correct answer: 3. Branch of the auriculo temporal nerve

Explanation: Ans. is 'c' i.e., Branch of the auriculo temporal nerve